Most common cardiac anamoly associated with Noonan 's syndrome is
1. Aortic stenosis
2. Ventricular septal defect
3. Pulmonary stenosis
4. Atrial septal defect

Correct answer: 3. Pulmonary stenosis

Explanation: Most common cardiac anamoly associated with Noonan's syndrome is pulmonary stenosis.